Pulmonary fibrosis is the most common complication after treatment with -
1. 6- mercaptopurine
2. Vincristine
3. Bleomycin
4. Adriamycine

Correct answer: 3. Bleomycin

Explanation: Ans. is 'c' i.e., Bleomycin Drugs causing pulmonary fibrosis Acyclovir Busulphan Cyclophosphamide Gold Mitomycin C Amiodarone Carmustine Nitrofurantoin Melphalan Sulfonamides Bleomycin Chlorambucil Procarbazine Methysergide Penicillamine Methotrexate